Regurgitation of food back from stomach into oesophagus is prevented by
1. Pinch cock effect of diaphragm
2. Negative intrathoracic pressure
3. Oesophagogastric angle
4. All of the above

Correct answer: 4. All of the above

Explanation: Regurgitation of food back from stomach into oesophagus is prevented by: (i) tone of gastro-oesophageal sphincter, (ii) negative intrathoracic pressure, (iii) pinch-cock effect of diaphragm, (iv) mucosal folds, (v) oesophagogastric angle and (vi) slightly positive intra-abdominal pressure. Ref:- Dhingra; pg num:-341